Dohlman's operation done for:
1. Achalasia
2. Rectal prolapse
3. Ca esophagus
4. Zenker's diverticulum

Correct answer: 4. Zenker's diverticulum

Explanation: Ans. (d) Zenker's diverticulumRef Shackelford 7th Edition, Page 345* Surgical Management of Choice is - Cricopharyngeal Myotomy with Diverticulectomy (If given in choices is the best option)* Dohlman's operation - Endoscopic stapling technique preferred for Diverticulum more than 3cm Size.